One of the most common sexually transmitted diseases that may lead to cervical carcinoma is caused by which of the following viruses?
1. Cytomegalovirus
2. Papillomavirus
3. Epstein-Barr virus
4. Herpes simplex virus

Correct answer: 2. Papillomavirus

Explanation: Human papillomavirus (HPV) is the cause of genital warts. It is one of the most pervasive of all the sexually transmitted diseases. There is no specific cure or vaccine. There are multiple serotypes of papillomavirus and some serotypes are linked to cervical cancer. New techniques for molecular diagnosis of HPV show promise for rapid and sensitive detection and perhaps more aggressive treatment.